All are disadvantages of Cohort study except
1. Cohort study involve a large number of people
2. Cohort studies are expensive
3. Recall bias
4. Attrition

Correct answer: 3. Recall bias

Explanation: Disadvantages of cohort study Time consuming and Expensive Attrition - loss of follow up Hawthorne bias Ethical issues Not useful in rare disease Disadvantages of case control study Calculation of Odds ratio (Relative risk - more accurate than OR) Recall bias